Sullivan index is the measure of
1. Disability rate
2. Pregancy rate
3. GNP
4. Literacy rate

Correct answer: 1. Disability rate

Explanation: Ans. a (Disability rate). (Ref. FSM, Park, 17th/pg.22)SULLIVAN INDEX# This index (expectation of life free of disability) is computed by substracting from life expectancy the probable duration of bed disability and inability to perform major activities.# It is considered one of the most advanced indicator/measure of disability rate, currently available